Prosopongnoisa-
1. Inability to do fine movement
2. Inability to recognise face
3. Seen in Baline syndrome
4. Associated with Grestman syndrome

Correct answer: 2. Inability to recognise face